Macrophages are major source of
1. IL - 1
2. IL - 2
3. IL - 3
4. IL - 4

Correct answer: 1. IL - 1

Explanation: Macrophages are major source of IL - 1, IL - 8, IL - 12.